True abut acute myelogenous leukemia:
1. Philadelphia chromosome is seen
2. Auer bodies are seen
3. Common in childhood
4. Peroxidase negative granules

Correct answer: 2. Auer bodies are seen

Explanation: The myeloblasts of acute myeloid leukaemia may show the presence of rod-like cytoplasmic inclusions called Auer rods which represent abnormal derivatives of primary azurophilic granules.